A 38 years old man is posted for extraction of last molar tooth under general anaesthesia as a day care case. He wishes to resume his work after 6 hours. Which of the following induction agent is preferred
1. Thiopentone sodium
2. Ketamine
3. Propofol
4. Diazepam

Correct answer: 3. Propofol

Explanation: C. i.e. (Propofol) (158 - 60 Lee's synopsis of anesthesia 13th)PROPOFOL - particularly suited for out patient surgery because residual impairment is less marked and incidence of post operative nausea and vomiting* Only agent which are rapidly eliminated are used eg Propofol, alfentanil, remifentanil, N20 Isoflurance,sevoflurane or desflurane* Commercial preparation contains egg extract (lecithin)**Advantage* Fitness to go to work - usually the following day* Fitness to return home - fitness to go out alone* Fitness to walk to the bathroom without feeling faint* The induction dose of propofol in healthy adult is - 1 - 2.5 mg/Kg* Used in Porphyria*** & malignant hyperthermia**Propofol Infusion syndrome - potentially lethal syndrome of metabolic acidosis, acute cardiomyopathy and skeletal myopathy associated with prolonged (>48 hours) high doses (>5m/ kg/h)* Midazolam can be safely uses for day care procedures*** Propofol is the agent of choice for total intravenous anaesthesia (TIVA)